The most common source of pulmonary embolism is:
1. Amniotic fluid embolism
2. Calf vein thrombi
3. Large veins of leg
4. Cardio thoracic surgery

Correct answer: 3. Large veins of leg

Explanation: Answer is C (Large veins of leg): About half the patients with pelvic vein thrombosis or proximal leg deep vein thrombosis have pulmonary thromboembolism. Isolated calf vein thrombosis pose a lower risk of pulmonary embolism- Harrisons